Hypoglossal nerve is
1. Purely sensory
2. Purely motor
3. Mixed
4. Spinal nerve

Correct answer: 2. Purely motor